Hemophilic A has following diagnostic features except -
1. ↓VIII factor
2. ↑ PTT
3. ↑ PT
4. Normal BT

Correct answer: 3. ↑ PT